The causative agent of Favus is
1. Microsporum audounii
2. Microsporum canis
3. Trichophyton mentagrophyte
4. Trichophyton schoenleinii

Correct answer: 4. Trichophyton schoenleinii

Explanation: Favus is caused by Trichophyton schoenleinii and Trichophyton violaceum. Trichophyton mentagrophyte causes Tinea barbie and ectothrix hair infection. Microsporum audouinii - Tinea capitis and ectothrix hair infection. Microsporum canis infects dogs and cats. Reference: Textbook of Microbiology; Baveja; 4th edition